Avoiding awareness of pain of reality by negative sensory data is seen in which of the following defense mechanisms?
1. Distortion
2. Denial
3. Humor
4. Anticipation

Correct answer: 2. Denial

Explanation: Denial is the defense mechanism which helps a person to avoid (or refuse to accept) the reality. Don't get confused by the phrase "negative sensory data".